Which cranial nerve supplies parasympathetic secretomotor fibres to the submandibular salivary gland:
1. Vagus
2. Trigeminal
3. Facial
4. Glossopharyngeal

Correct answer: 3. Facial

Explanation: Submandibular Gland lies beneath the lower border of the body of the mandible and is divided into superficial and deep parts by the mylohyoid muscle.The deep part of the gland lies beneath the mucous membrane of the mouth on the side of the tongue.The submandibular duct emerges from the anterior end of the deep part of the gland and runs forward beneath the mucous membrane of the mouth. It opens into the mouth on a small papilla, which is situated at the side of the frenulum of the tongue.Parasympathetic secretomotor supply is from the facial nerve the chorda tympani, and the submandibular ganglion.